Block vertebrae are seen in ?
1. Pagets disease
2. Leukemia
3. TB
4. Klippel - Feil syndrome

Correct answer: 4. Klippel - Feil syndrome

Explanation: Ans. is i.e., Klippel - Feil syndrome A block vertebra is a type of vertebral anomaly where there is a failure of separation of two or more adjacent vertebral bodies Associations There is a frequent association with hemivertebrae / absent vertebra above or below block level, posterior element fusion Fusion of multiple cervical vertebral bodies is also seen in Klippel-Feil syndrome and VACTREL anamoly.